Finding of multiple myeloma in kidney are all except:
1. Tubular casts
2. Amyloidosis
3. Wire loop lesions
4. Renal tubular necrosis

Correct answer: 3. Wire loop lesions

Explanation: Wire loop lesions are characteristic of SLE and are not seen in multiple myeloma. CLASS IV : DIFFUSE PROLIFERATIVE lupus nephritis shows wire loop lesions.